Muscle pain after anaesthesia is caused by:
1. Vecuronium
2. D-tubocurare
3. Suxamethonium
4. All

Correct answer: 3. Suxamethonium

Explanation: C i.e. Suxamethonium